Herpes - Zoster is caused by -
1. Herpes - simplex type I
2. Herpes - simplex type II
3. Epstein - barr virus
4. Varicella

Correct answer: 4. Varicella

Explanation: Herpes zoster usually occurs in person who had chickenpox several years earlier,which is caused by varicella REF:ANANTHANARYANAN TEXTBOOK OF MICROBIOLOGY 9th EDITION PGNO.472